Prevalence is calculated by formula
1. Incidence x Mean durationx100
2. Incidence/ Mean duration x 100
3. Incidence/Mean duration
4. Incidence x Mean duration

Correct answer: 4. Incidence x Mean duration

Explanation: Relationship between prevalence and incidence Prevalence depends upon 2 factors, the incidence and duration of illness. Given the assumption that the population is stable, and incidence and duration are unchanging, the relationship between incidence and prevalence can be expressed as : P= IxD = incidence x mean duration Ref:- park; pg num:- 69